Eggs seen in sputum and stools-
1. Paragnomus
2. Fasciola
3. Chlornchis
4. P. carini

Correct answer: 1. Paragnomus

Explanation: Ans. is 'a' i.e., Paragnomus * Two organism can be isolated from both sputum and stooli) Trophozoite ofE. histolyticaii) Eggs of Paragonimus